A 5 years old boy punctures his thumb with a rusty nail. Four hours later, the thumb appears red and swollen. Initial swelling of boy's thumb is primarily due to which of the following mechanism?
1. Decreased intravascular hydrostatic pressure
2. Decreased intravascular oncotic pressure
3. Increase capillary permeability
4. Increase intravascular oncotic pressure

Correct answer: 3. Increase capillary permeability

Explanation: The vascular reactions of acute inflammation consist of changes in the flow of blood and the permeability of vessels, both designed to maximize the movement of plasma proteins and leukocytes out of the circulation and into the site of infection or injury.